Barrel shaped eggs is/are seen in -
1. Hookworm
2. Pin worm
3. Roundworm
4. Whipworn

Correct answer: 4. Whipworn

Explanation: Ans. is 'd' i.e., Whipworm [Ref Rajesh karykae 1"/e p. 1661Eggs of Trichuris-trichura (whipworm) are barrel-shaped with mucous plug at each pole. Shell is yellow to brow (bile-stained) and plugs are colourless. They float in saturated solution of common salt. When freshly passed, they contain unsegmented ova and are not infective to man.